True about obsession - compulsive disorder are A/E -
1. Ego-alien
2. Patient tries to resist against
3. Ego syntonic
4. Insight is present

Correct answer: 3. Ego syntonic

Explanation: OCD is ego-dystonic (not egosyntonic).
Characteristic features of obsession & compulsion 

They are egoalien, i.e. experienced as foreign to person's experience of himself.
They are egodystonic, i.e. (unwanted behavior).
Thought is recognized as irrational and absurd (insight is present)
Patient tries to resist against it however patient is unable to do so (thought is irresistible) → Inability to resist causes marked distress or anxiety.